Side effects of glucocorticoids are all of the following except:
1. Hypoglycemia
2. Cataract
3. Psychoses
4. Osteoporosis

Correct answer: 1. Hypoglycemia

Explanation: Ans. A: Hypoglycemia Glucocorticoid drugs currently being used act nonselectively, so in the long run they may impair many healthy anabolic processes. To prevent this, much research has been focused recently on the elaboration of selectively-acting glucocorticoid drugs. These are the side-effects that could be prevented: Immunosuppression Hyperglycemia due to increased gluconeogenesis, insulin resistance, and impaired glucose tolerance ("steroid diabetes"); caution in those with diabetes mellitus Increased skin fragility, easy bruising Negative calcium balance due to reduced intestinal calcium absorption Steroid-induced osteoporosis: reduced bone density (osteoporosis, osteonecrosis, higher fracture risk, slower fracture repair) Weight gain due to increased visceral and truncal fat deposition (central obesity) and appetite stimulation Adrenal insufficiency (if used for long time and stopped suddenly without a taper) Muscle breakdown (proteolysis), weakness; reduced muscle mass and repair Expansion of malar fat pads and dilation of small blood vessels in skin Anovulation, irregularity of menstrual periods Growth failure, pubertal delay Increased plasma amino acids, increased urea formation; negative nitrogen balance Excitatory effect on central nervous system (euphoria, psychosis) Glaucoma due to increased cranial pressure Cataracts